The primary function of basal ganglia is
1. Preprogramming of voluntary activity
2. Control of equilibrium
3. Sensory integration
4. Short term memory

Correct answer: 1. Preprogramming of voluntary activity

Explanation: (A) Preprogramming of voluntary activity > Basal ganglia are involved in the planning and programming of movement or, more broadly, in the process by which an abstract thought is converted into voluntary action. Basal ganglia also play major role in some cognitive processes.